Common peroneal nerve is related to which of the following structures?
1. Shaft of tibia
2. Neck of fibula
3. Lower tibio-fibular joint
4. Shaft of fibula

Correct answer: 2. Neck of fibula

Explanation: The common fibular nerve arises from the posterior division of the sacral plexus (L4-S2) and descends in an inferolateral direction, across the popliteal fossa to the fibular head. Just distal to the fibular head, the common fibular nerve bifurcates into the deep fibular and superficial fibular nerves.It is easily palpated against ihe neck of fibula because of its subcutaneous position.It is commonly injured in fractues of neck of the fibula.It gets thickened in leprosy which may also cause foot drop.